A 16 year old girl with blind vagina and absent uterus presents to you. The investigation you will like to do first is :
1. Intravenous pyelography
2. FSH
3. Karyotyping
4. CT scan of pelvis

Correct answer: 3. Karyotyping

Explanation: Karyotyping